Local excision in CA rectum is done in all, except:
1. Within 6 cm of anal verge
2. Lesion <4 cm
3. Involvement of <40% circumference
4. T1 and T2 cancer with or without lymph node involvement

Correct answer: 4. T1 and T2 cancer with or without lymph node involvement

Explanation: Ans. (d) T1 and T2 cancer with or without lymph node involvementRef: Sabiston 19th Edition, Pages 1356-1360Transanal excision of cancer rectum* T1N0 or T2N0 lesion <4cm in diameter* <40% circumference of the lumen* <10cm from dentate line* Well to moderately differentiated histology* No evidence of lymphatic or vascular invasion on biopsyOn Endo USG:* T1 and T2 lesions without nodes will be opted for Transanal excision